Protein di sulphide isomerase is involved in
1. Protein synthesis
2. Protein degradation
3. Protein folding
4. Protein quarternary structure formation

Correct answer: 3. Protein folding

Explanation: Disulfide bonds between and within polypeptides stabilize tertiary and quaternary structures. However, disulfide bond formation is nonspecific. Under oxidizing conditions, a given cysteine can form a disulfide bond with the --SH of any accessible cysteinyl residue. By catalyzing disulfide exchange, the rupture of an S--S bond and its reformation with a different partner cysteine, protein disulfide isomerase facilitates the formation of disulfide bonds that stabilize a protein's native conformationPeptidyl cis-trans isomerase, protein disulphide isomerase and chaperones are involved in protein folding